The area of the colon which is least visualized by barium studies -
1. Sigmoid
2. Hepatic flexure
3. Splenic flexure
4. Caecum

Correct answer: 1. Sigmoid